Di-acetyl morphine is -
1. Bhang
2. Ganja
3. Heroin
4. Hashih

Correct answer: 3. Heroin

Explanation: Ans. is 'c' i.e. Heroin o Di-acetyl morphine is the chemical name of heroino Heroin (smack) is the most commonly abused opioid.o Bhang, Ganja and hashish (charas) are preparation of cannabis or marinjuana.